Hypercalcemia is not seen in:
1. Lithium therapy
2. Chronic renal failure
3. Multiple myeloma
4. Vitamin A deficiency

Correct answer: 4. Vitamin A deficiency

Explanation: Answer is D (Vitamin A deficiency). Hypercalcemia is seen with Vit. A intoxication (not deficiency) due to associated high bone turnover. Causes of hypercalcemia: Parathyroid related Vitamin D related * * * Primary hyperparathyroidism Q Lithium therapy Q Familial hypercalciuric hypercalcemia * * * Vitamin D intoxication Increased 1, 25 (OH), D eg. SarcoidosisQ; other granulomatous ds. Idiopathic hypercalcemia of infancy Malignancy related Associated high bone turnover * Solid tumor with metastasis (Breast) * HyperthyroidismQ * Solid tumor with paraneoplastic syndromes * hnmobilizationu (Carcinoma Breast/Lung /Kidney etc.) * ThiazidesQ * Hematological malignancies: * Vitamin A intoxicationQ Multiple myelomaQ / Lymphoma / * Paget 's disease Leukemia Associated With Renal FailureQ * Pheochoromocytoma (rare) * Severe secondary hyper-parathyroidism * MEN syndromes * Aluminum intoxication * Milk Alkali syndrome